A useful thrombolytic agent that leads to plasmin activation is :
1. Vitamin K
2. Heparin
3. Streptokinase
4. Aspirin

Correct answer: 3. Streptokinase